Postpartum decidual secretions present are referred to as:
1. Lochia
2. Bleeding per vaginum
3. Vasa-previa
4. Decidua-capsualris

Correct answer: 1. Lochia